The Earliest symptom of Wilm's tumor is:
1. Hematuria
2. Pyrexia
3. Abdominal mass
4. Metastases

Correct answer: 3. Abdominal mass

Explanation: Ans. (c) Abdominal massRef: Bailey 26th Edition, Page 1304* Wilm's tumor presents with an abdominal mass. Other symptoms include hematuria, abdominal pain or fever